The permanent maxillary first molar of a 8 yr old child is to be extracted because of caries. The case can be maintained to prevent malocclusion is by
1. Placing a space maintainer
2. Surgically reposition the 2nd molar
3. Let second molar erupt and drift mesially to close the space
4. Extract first molar on the other side to prevent midline shifting

Correct answer: 3. Let second molar erupt and drift mesially to close the space